All are true of nursing bottle carries except
1. Maxillary central incisors are most effected
2. Mandibular central incisors are least effected
3. Pacifying sugar solutions are the cause
4. Breast milk does not cause the condition

Correct answer: 4. Breast milk does not cause the condition